Which of the following is true about Endemic typhus?
1. Cause is Rickettsia prowazekii
2. Vector is flea
3. Reservoir is humans
4. Tetracycline is not useful for treatment

Correct answer: 2. Vector is flea

Explanation: Endemic typhus Also known as: Flea-borne typhus, murine typhus Causative agent: Rickettsia typhi Vector: rat flea Reservoir: Rodents Weil felix reaction becomes +ve in : 2nd week Drug of choice: Tetracycline.